Pancytopenia with cellular marrow is seen in all except
1. Megaloblastic anemia
2. Myelodysplasia
3. Paroxysmal nocturnal hemoglobinuria
4. G6PD deficiency

Correct answer: 4. G6PD deficiency

Explanation: Pancytopenia with cellular marrow is seen in

Megaloblastic anemia
Myelodysplasia
Paroxysmal nocturnal hemoglobinuria